It is wise to keep and repair the meniscus rather than removing it when the injury is to which of the following?
1. Medial part of meniscus
2. Mid part of meniscus
3. Peripheral part of meniscus
4. Associated with collateral ligament injury

Correct answer: 3. Peripheral part of meniscus

Explanation: (c) Peripheral part of meniscus- Meniscal Repair is recommended for tears in the Red zone and the Red white zone (Periphery). Meniscal Repair is not recommended for tears in the white zone (Inner zone).- Tear of the inner zone are treated with arthroscopic excision.